Which of the following bones do not contribute the nasal septum:
1. Sphenoid
2. Lacrimal
3. Palatine
4. Ethmoid

Correct answer: 2. Lacrimal

Explanation: Nasal septum consists of 1)Osseous part-Vomer,perpendicular plate of ethmoid,Nasal crest of nasal bone,nasal soine of front bone,nasal crest of palatine bone,nasal crest of maxillary bone,Rostrum of sphenoid bone. 2)Cartilaginous part-septal cartilage Ref.Dhingra 5/e,p 162,6/e,p 147.